Reduviid bug is a vector for the transmission of:
1. Relapsing fever
2. Lyme's disease
3. Scrub typhus
4. Chaga's disease

Correct answer: 4. Chaga's disease

Explanation: Reduviid bugs(Triatominae): Also known as 'Cone-nose bugs' or 'kissing bugs' 'or 'Assassin bugs' Vectors of Chaga's Disease (American Trypanosomiasis- 'Sleeping sickness of America'), causedby Trypanosoma cruzi Ref: Park 25th edition Pgno: 817